A 65-year-old man presents to your clinic after falling several times in the past few months. On examination, his most notable findings are an unstable, wide-based gait and marked retropulsion. He does have bradykinesia with masked facies and dysarthria. You find no evidence of cogwheeling or resting tremor. His symptoms do not respond to levodopa/carbidopa. During the next few months, his eye movements are notable for the slowing of vertical saccades and fast phases. What is the most likely diagnosis?
1. L-DOPA resistant PD
2. Progressive supranuclear gaze palsy
3. Multiple system atrophy
4. Foville syndrome

Correct answer: 2. Progressive supranuclear gaze palsy

Explanation: Option A - Ruled out as resting tremors are absent & disease is ruled out as it is a ATYPICAL PARKINSONISM disease. Option B- since in the question its mentioned regarding the vertical gaze of the patient, it's the most appropriate option. Option C- Ruled out as autonomic insufficiency isn't mentioned in the question. Option D- Manifestation of STROKE related to Pons with VIth nerve palsy.